Pick the wrong statement with respect to red infracts?
1. Occur in arterial occlusions
2. Occur in loose tissues
3. Occur in tissues with dual circulations
4. Occur in tissues previously congested by sluggish venous outfolw

Correct answer: 1. Occur in arterial occlusions

Explanation: An infarct is an area of ischemic necrosis caused by occlusion of the vascular supply to the affected tissue Infarcts are classified on the basis of their colour into Red infarct with venous occlusions in loose tissues eg:- lung in tissues with dual circulations such as lung and small intestine, in previously congested tissues when the flow is reestablished after infarction has occurred white infarct occur with arterial occlusions in solid organs with end-arterial circulations (e.g., heart, spleen, and kidney) ref Robbins 9/e pg 92